The following are the features of13thalassemia major except-
1. Bone marrow hyperplasia
2. Hair-on-end appearance
3. Splenomegaly
4. Increased osmotic fragility

Correct answer: 4. Increased osmotic fragility

Explanation: Ans. is 'd' i.e., Increased osmotic fragility